Which of the following happens when a nerve impulse arrives at the neuromuscular junction?
1. Release of calcium from Sarcoplasmic reticulum
2. ACh binds to receptors in Sarcolemmal membrane
3. Release of K+ into the Sarcoplasm
4. Sodium ions rush outside the Sarcoplasm

Correct answer: 2. ACh binds to receptors in Sarcolemmal membrane

Explanation: Molecules of ACh diffuse across the synaptic cleft and bind to ACh receptors on the motor end plate. Ref: Human Anatomy And Phsyiology, edited by Sanghani, Page 204